All ICUD's are changed every 4-5 year except
1. Cu-280
2. Cu-320
3. Multiload devices
4. Progestasert

Correct answer: 4. Progestasert

Explanation: Progestasert is an IUCD which is changed after 1 year (IUCD with shortest life span)*Most of the IUCDs have an average life span of - 3 yrs.Exceptions are -Nova T - 5 yrs*.CuT380A - 10 yrs*.Progestasert - 1 yrs*.